A 40 year old male female patient on long term steroid therapy presents with recent onset of severe pain in the right hip. Imaginf modality of choice for this problem is:
1. CT scan
2. Bone scan
3. MRI
4. Plain X-ray

Correct answer: 3. MRI

Explanation: C i.e., MRI A known complication of long term steroid uptake and chronic alcoholism is avascular necrosis of hip. MR scanning is the most sensitive and specific means of detecting changes in avascular necrosisQ. Sensitivity & Specificity approach 100%.